All of the following are side effect of ropinirole except:
1. Sedation
2. Nausea
3. Retroperitoneal Fibrosis
4. Hallucination

Correct answer: 3. Retroperitoneal Fibrosis

Explanation: Ans. (C) Retroperitoneal Fibrosis(Ref: KDT 8/e p 458)Adverse effects of ropinirole and pramipexole include nausea, dizzinesss, hallucinations, postural hypotension and excessive day time sleepinessTheir advantage over ergot derivatives like bromocriptine is lack of retroperitoneal fibrosis and gangrene and long duration of action.Ropinirole has been approved by FDA for restless leg syndrome